The shape of RBC is biconcave due to
1. Ferrous state of Iron
2. Spectrin
3. Band protein
4. Glycophorin C

Correct answer: 2. Spectrin

Explanation: The remarkable deformability and durability of the normal red cell are attributable to the physicochemical properties of its specialized membrane skeleton, which lies closely apposed to the internal surface of the plasma membrane. Its chief protein component is spectrin.Hereditary spherocytosis is caused by diverse mutations that lead to an insufficiency of membrane skeletal componentsRobbins 9e pg: 632